Patient came with hydrops and scarring of cornea. What would be the treatment modality you would opt for him:
1. Penetrating Keratoplasty
2. Endothelial lamellar Keratoplasty
3. Deep anterior lamellar keratoplasty
4. Collagen cross linking

Correct answer: 1. Penetrating Keratoplasty

Explanation: Penetrating keratoplasty has to be done in cases of deep corneal scar or hydrops. SURGICAL MODALITIES FOR KERATOCONUS Keratoplasty for Keratoconus DALK (deep anterior Lamellar keratoplasty): when > 1/2 of stroma is involved. ALTK (Anterior lamellar therapeutic keratoplasty) : When less than 1/2 of stroma is involved. Penetrating Keratoplasty: When full thickness of cornea is involved as in hydrops with scar. INTRASTROMAL CORNEAL RING SEGMENTS Reduce corneal steepening Made of PMMA. Femtolaser is used to make tunnel in cornea. Used in Pellucid Marginal Degeneration, post LASIK ectasia and keratoconus.